Long acting b2 sympathomimetic ?
1. Salmeterol
2. Orciprenaline
3. Penoterol
4. Pexbaterol

Correct answer: 1. Salmeterol

Explanation: Ans. is 'a' i.e., Salmeterol orT b2-agonistsused in Asthma 1.Short acting --> Salbutamol, terbutaline 2. Long acting --> Salmeterol, formoterol